True about HIV -
1. Not transmitted through semen
2. More chances of transmission during LSCS than normal labour
3. More infectious than hepatitis B
4. Male to female transmitted >female to male

Correct answer: 4. Male to female transmitted >female to male

Explanation: In USA it was transmitted predominantly among male homisexuals.The danger if infection is more for the passive partner because mucosal tears are bery frequent during anal intercourse and virus ladem lymphocytes in the semen can directly ente through these. REF:ANANTHANARAYAN AND PANIKER'S TEXTBOOK OF MICROBIOLOGY 9TH EDITION PAGE NO:582